The level of drug metabolizing enzymes in the liver determines how fast a drug is removed from the circulation. Therefore, it would be expected to find drug metabolizing enzymes
1. Higher in smokers than in nonsmokers
2. Similar in smokers and nonsmokers
3. Lower in smokers than in nonsmokers
4. Simulated by malnutri on

Correct answer: 1. Higher in smokers than in nonsmokers

Explanation: Smokers inhale polycyclic aromatic hydrocarbons, which stimulate drug-metabolizing enzymes. Therefore, smokers have higher levels of hepa c drug-metabolizing enzymes than nonsmokers.